Emergency retentive force for the maxillary complete denture is
1. Deep palate
2. Soft palate
3. Posterior palatal seal
4. Base of the tongue

Correct answer: 4. Base of the tongue